A 45-year-old woman underwent a modified radical mastectomy 4 years ago. She was treated for multiple bone metastases with cyclophosphamide, doxorubicin, and fluorouracil for 6 months. She is complaining of exertion on exercise, swelling of the legs, and swelling around eyes in the morning. On examination, she has bilateral rales in the lungs, Sl, S2 audible, S3, S4 gallop present. Her BP is 149/117 mm Hg, PR is 80/min, and RR is 18/min. What is the most likely cause for her cardiac condition?
1. Systolic dysfunction CHF
2. Drug induced cardiac toxicity
3. Metastatic cardiac disease
4. Pneumonia

Correct answer: 2. Drug induced cardiac toxicity

Explanation: Answer is B (Drug induced cardiac toxicity) Features of cardiac failure in a patient on doxorubicin suggests the possibility of Anthracycline induced cardiac toxity.Risk of Anthracyclinc induced cardiac toxicity is increased with concomitent radiation and cyclophosphamide. cardiac failure after 6 months of chemotherapy with doxorubicin (anthracycline) and cyclophosphamide, is consistent with a diagnosis of drug induced cardiac toxity which is the single best answer of choice.